Aspirin is contraindicated in children suffering from influenza or similar viral infection because of increased risk of
1. Fanconi syndrome
2. Thrombocytopenia
3. Gastric bleeding
4. Reye's syndrome

Correct answer: 4. Reye's syndrome

Explanation: An association has been noted between salicylate therapy and 'Reye's syndrome', a rare form of hepatic encephalopathy seen in children having viral (varicella, influenza) infection. Ref:- kd tripathi; pg num:-197